Arterial enhancement and venous phase washout in a liver mass larger than 2 cm is diagnostic for
1. Hemangioma
2. Focal nodular hyperplasia
3. Adenoma
4. Hepatocellular carcinoma

Correct answer: 4. Hepatocellular carcinoma